Protein requirement of an adult is:
1. 0.7 gm/Kg in terms of Egg protein & 0.7 gm/Kg in terms of mixed vegetable protein
2. 1.0 gm/Kg in terms of Egg protein & 1.0 gm/Kg in terms of mixed vegetable protein
3. 1.0 gm/Kg in terms of Egg protein & 0.7 gm/Kg in terms of mixed vegetable protein
4. 0.7 gm/Kg in terms of Egg protein & 1.0 gm/Kg in terms of mixed vegetable protein

Correct answer: 4. 0.7 gm/Kg in terms of Egg protein & 1.0 gm/Kg in terms of mixed vegetable protein

Explanation: Protein requirement of an adult: 0.7 gm/kg/day in terms of Egg protein or 1.0 gm.Kg/day in terms of mixed vegetable protein (NEW GUIDELINES: 0.83 g/Kg/d) Egg protein has the highest NPU of 96 Indian council of Medical Research (ICMR) has recommended 1.0 gm protein per Kg of body weight for an Indian adult, assuming a NPU of 65 for delivery proteins. Ref: Foundation of Community Medicine 1st edition Pgno: 369